Which MRI sequence suppresses fat signal?
1. FLAIR
2. STIR
3. T1
4. T2WI

Correct answer: 2. STIR

Explanation: STIR (Short Tau Inversion Recovery Sequence): It is a Fat suppressing sequence used to evaluate bone marrow edema by suppressing the fat signal from bone marrow FLAIR (FLUID ATTENUATION INVERSION RECOVERY SEQUENCE): Which suppresses the Fluid Signals and evaluates Brain Edema, used in evaluating Periventricular Hyperintensities in Multiple sclerosis by suppressing the CSF signal of the ventricles FAT is HyperIntense on both T1& T2